The light rays come to focus in front of the retina because of the increased length of the eyeball in
1. Myopia
2. Hypermetropia
3. Astigmatism
4. Presbyopia

Correct answer: 1. Myopia

Explanation: (A) Myopia > In myopia, the axial length of the eyeball is increased while in hypermetropia, the axial length of the eyeball is decreased.